In an ICU, following righ subclavian rein cannulation for putting CV line, patient developed respiratory distress, dyspnoea, hypotension (BP 100/55) and tachycardia (140/min HR), chest examination revealed diminished air entery and decreased breath sounds on auscultation and hyper resonance on percussion towards right side of chest. Left sided breath sounds were minimally reduced. The probable diagnosis is
1. Tension pneumothorar
2. Acute MI
3. Air embolism
4. Pulmonary edema

Correct answer: 1. Tension pneumothorar

Explanation: A i.e. Tension pneumothorar